Poor man's iron source is ?
1. Almond
2. Grapes
3. Soya
4. Jaggery

Correct answer: 4. Jaggery

Explanation: iron The adult human body contains between 3-4 g of iron , of which about 60-70 % is present in blood as circulating iron and the rest as storage iron. Each gram of haemoglobin contain 3.34mg of iron. Functions: 1. Formation of haemoglobin 2. Brain development 3. Regulation of body temperature. 4. Catecholamine metabolism 5. Oxygen transport. Sources: Foods rich in haem iron are liver , meat, poultry and fish. Foods rich in non haem iron are cereals, green leafy vegetables, legumes, nuts , oilseeds, jaggery and dried fruits. Among nuts cashew nut is rich in iron. Poor mans iron source is jaggery.It contain useful amounts of carotene and iron derived from cooking pans. Recommended Dietary Allowances for iron: 1. Healthy Indian male: 17mg 2. Healthy adult female: 21 mg 3. Pregnant women: 35 mg 4. Lactation: 21 mg 5. Infants:5mg {Reference: Park's textbook of community medicine 23 rd edition, pg no. 636}